Most common cause of multiple fetal anomalies is:
1. Syphilis
2. Tetracycline
3. Rubella
4. Rubeola

Correct answer: 3. Rubella